Typhoid revaccination is recommended every ... years in endemic area-
1. 1
2. 3
3. 5
4. 10

Correct answer: 2. 3

Explanation: Ans. is 'b' i.e., 3 o To maintain protection, revaccination is recommended every 3 years.